Vitamin E deficiency causes all EXCEPT:
1. Ataxia
2. Neuropathy
3. Megaloblastic anemia
4. Ophthalmoplegia

Correct answer: 3. Megaloblastic anemia

Explanation: Deficiency of vitamin E can lead to:- Neurological problems Difficulty coordinating movements (ataxia) Speech (dysarthria) Loss of reflexes in the legs (lower limb areflexia) Loss of sensation in the extremities (peripheral neuropathy). Ophthalmoplegia in susceptible persons. Megaloblastic anaemia is caused by deficiency of vitamin B12 and folic acid